Which classification is used to divide the liver into segments?
1. Couinaud
2. Muhe
3. Starzl
4. Anatomical

Correct answer: 1. Couinaud

Explanation: Ans. (a) Couinaud'sRef: Bailey and Love 26th edition page 1066* Couinaud divided the liver into multiple segments- 8 segments* He is a French Anatomist